30 out of 50 smokers and 10 out of 50 non smokers develop lung cancer. What is odd's Ratio
1. 4
2. 2.8
3. 6
4. 7

Correct answer: 3. 6